Transport medium for cholera ?
1. LJ medium
2. Cary Blair medium
3. MYPA medium
4. Stewart medium

Correct answer: 2. Cary Blair medium

Explanation: Ans. is 'b' i.e., Cary Blair medium